Mesangial deposits of monoclonal kappa/Lambda light chains in indicative of:
1. Mesangioproliferative glomerulonephritis
2. Focal and segmental glomerulosclerosis
3. Kimmelstiel-Wilson lesions
4. Amyloidosis

Correct answer: 4. Amyloidosis

Explanation: Mesangial deposits of monoclonal kappa/lambda light chains suggest the diagnosis of Amyloidosis. Renal amyloidosis is the most common cause of death due to amyloidosis Amyloid deposition begins from mesangium and involves other part later Clinical features - proteinuria , urinary cast present , kidney size increases. In primary Amyloidosis AL protein is deposited in the organs, which is made of light chains (usually lambda type) of immunoglobulins.